Which of the following is not true about dura mater?
1. It is the outermost layer of the cranial meninges
2. It has periosteal and meningeal layer
3. Dural venous sinuses lie below the meningeal layer
4. It is supplied by a branch of the V cranial nerve

Correct answer: 3. Dural venous sinuses lie below the meningeal layer

Explanation: Ans. c. Dural venous sinuses lie inner to the meningeal layer